In renal failure, metabolic acidosis is due to?
1. Decreased Cl-loss
2. Loss of HCO3-
3. Decreased excretion of ammonia
4. Used of diuretics

Correct answer: 3. Decreased excretion of ammonia

Explanation: Metabolic acidosis can occur because of increased endogenous acid production (lactate and ketoacids) loss of bicarbonate accumulation of endogenous acid (as seen in renal failure) -Ammonia is excreted out linked to H+ as ammonium ion and for every positive charge lost, chloride is lost to maintain electroneutrality. -In case of a renal failure both ammonia and protons are retained leading to high anion gap acidosis as the positive charges in the body are increased.